A dairy farmer presented to the dermatology OPD with an ulcer with central black eschar over the forearm .Which of the following media will be used as selective medium for the growth of responsible organism?
1. PLET medium
2. Ashdown medium
3. Casteneda medium
4. Thayer main medium

Correct answer: 1. PLET medium

Explanation: Based on the profession of the person and clinical description of the lesionits most likely cutaneous anthrax (the most common form of Anthrax) and a selective medium used for it is PLET(polymyxin-lysozyme-EDTA-thallous acetate) medium. Neisseria meningitidis Thayer main medium B.pseudomallei Ashdown medium Brucella Casteneda medium Reference: Ananthanarayan and Paniker's Textbook of Microbiology Tenth edition